Kussmaul's sign is not seen in:
1. Right Ventricular infarction
2. Constrictive pericarditis
3. Restrictive cardiomyopathy
4. Cardiac tamponade

Correct answer: 4. Cardiac tamponade

Explanation: Ans. D: Cardiac tamponade Possible causes of Kussmaul's sign include: Constrictive pericarditis Restrictive cardiomyopathy Pericardial effusion Right ventricular infarction Right heart failure Cardiac tumours Tricuspid stenosis With Cardiac tamponade, KS is absent (lack of inspiratory decline in jugular venous pressure), yet jugular veins are distended and typically show a prominent x descent and an absent y descent as opposed to patients with constrictive pericarditis).